Occipital bellies of occipitofrontalis muscle is supplied by:
1. Posterior auricular nerve
2. Zygomaticotemporal nerve
3. Supratrochlear berve
4. Temporal nerve

Correct answer: 1. Posterior auricular nerve

Explanation: The occipitofrontalis muscle has two bellies, occipital or occipitalis and frontal or frontalis, both of  which are inserted into the epicranial aponeurosis. The occipital bellies are small and separate. 
Each  arises from the lateral two-thirds of the superior nuchal line.
The frontal bellies are longer, wider and partly united in the median plane. Each arises from the skin of the upper eyelid and forehead, mingling with the orbicularis oculi and the corrugator supercilii.